Which physical sign characterizes mitral stenosis:
1. Loud first heart sound
2. Soft single second heart sound
3. Third heart sound
4. Pulsatile liver

Correct answer: 1. Loud first heart sound